A 60 year old male presented with acute chest pain of 4 hours duration. Electrocardiographic examination revealed new Q wave with ST segment depression. He succummed to his illness within 24 hours of admission. The heart revealed presence of a transmural haemorrhagic area over the septum and anterior wall of the left ventricle. Light microscopic examination is most likely to reveal -
1. Edema in between normal myofibres
2. Necrotic myofibres with presence of neutrophils
3. Coagulative necrosis of the myocytes with presence of granulation tissue
4. Infiltration by histocytes with haemosiderin laden macrophages

Correct answer: 2. Necrotic myofibres with presence of neutrophils

Explanation: Ans. is 'b' i.e., Necrotic myofibres with presence of neutrophilsThe patient in question succumbed to myocardial infarction after about 28 hours of the attack.o The gross and microscopic appearance of an infarct depends on duration of survial of the patient following the MI. o Areas of damage undergo a progressive sequence of morphological changes that consist of typical coagulative necrosis.